Cardioselective β - blocker used in glaucoma is
1. Timolol
2. Betaxolol
3. Acebutalol
4. Carvedilol

Correct answer: 2. Betaxolol

Explanation: Both Timolol & Betaxolol are used against glaucoma, but Betaxol is caridoselective (selective β1 blocker).